Boys are more likely to be affected by which genetic disorders -
1. AD
2. AR
3. X linked dominant
4. X linked recessive

Correct answer: 4. X linked recessive

Explanation: Ans. is 'd' i.e., X linked recessive Note-Boys are affected and girls are become carrier and transmit the disease to the next generation.X-linked disorderso Except for a fewr conditions, all X-linked disorders are X-linked recessive.o As male has only one X-chromosome, the male with affected gene on X-chromosome will always manifest the disease.o On the other hand, female has 2 X-chromosomes, heterozyogous female will be carrier because of expression of normal allel on the other X-chromosome.o So a boy has more probability to manifest X linked recessive as compared to girls